Le Forfs operation is done for-
1. Young women desirous of child bearing
2. Old post menopausal women
3. Post traumatic prolapse
4. None of the above

Correct answer: 2. Old post menopausal women

Explanation: Ans. is 'b' i.e.t Old post menopausal women Lefort's repairo It is reserved for very elderly menopausal women with an advanced prolapse or those women who are poor medical risks and are considered unfit for major surgical procedures.o In this the flaps of vagina from the anterior and posterior vaginal wall are excised, and the raw areas apposed with catgut sutures.Fotheririll's procedure is done for young women desiring child bearing.